Rhomboid major is supplied by which type of neuron-
1. Unipolar
2. Pseudounipolar
3. Bipolar
4. Multipolar

Correct answer: 4. Multipolar

Explanation: Ans. is 'd' i.e., Multipolar * All skeletal muscles are supplied by motor neurons which are multipolar neurons.* There are following types of neurons1) Unipolor neurons These neurons have one process, with different segments (of that one process) serving as dendrite (receptive surfaces) as well as axons (releasing terminals). It is found in invertebrates.2) Bipolar neurons These are neurons with a dendrite and an axon, e.g. bipolar cells of retina.3) Pseudounipolar neurons (subclass of bipolar neurons) The neuron develops, a single process splits into two, both of which functions as axons, - one going to skin or muscle and another to spinal cord, e.g. dorsal root ganglion.4) Multipolar neurons These have one axons and many dendrites, e.g. motor neuron, pyramidal cell of hippocampus and cerebellar purkinje cells.